Acidophils of the anterior pituitary secrete
1. GH
2. TSH
3. ACTH
4. FSH

Correct answer: 1. GH

Explanation: Acidophils of the anterior pituitary (adenohypophysis) secrete growth hormone and prolactin. Basophils secrete TSH, ACTH, FSH and LH. Cells of Anterior pituitary Ref: Guyton and Hall 13th edition Pgno: 940